Secondary deviation of the eye is an example of the following law:
1. Herring's
2. Listing's
3. Sherrington's
4. Donder's

Correct answer: 1. Herring's

Explanation: Ans. Herring's